Stabilization of avulsed tooth requires:
1. 2 weeks
2. 3 weeks
3. 4 weeks
4. More than 6 weeks

Correct answer: 1. 2 weeks

Explanation: Splinting Times